Brown tumour is seen in -
1. Hypothyroidism
2. Hyperparathyroidism
3. Hypoparathyroidism
4. Hyperthyroidism

Correct answer: 2. Hyperparathyroidism

Explanation: Brown's tumour is seen in Hyperparathyroidism. Its an expansile lytic lesion.This is a collection of osteoclasts. It commonly found in maxilla and mandible,other bones also affected. Other featurs are muktiple bone cysts,subperiosteal retraction of bones,salt and pepper appearence of skull in X-ray.